Causes of asymmetrical Moro's reflex?
1. Fracture of clavicles
2. Fracture of humerus
3. Erb's palsy
4. All of the above

Correct answer: 4. All of the above

Explanation: The Moro reflex is an infantile reflex that develops between 28–32 weeks of gestation and disappears between 2-3 months of age. It is a response to a sudden loss of support and involves three distinct components: spreading out the arms (abduction) pulling the arms in (adduction) and startled look.
*Asymmetrical moro's reflex: still present at 6 months
 Causes: 

Fracture of clavicles
Fracture of humerus
Erb's palsy